"Castration anxiety" is seen in which phase of Sigmond Freud's psychosexual stages of development
1. Oral
2. Anal
3. Phallic
4. Genital

Correct answer: 3. Phallic

Explanation: Phallic phase (3-5years): Male child develops Oedipus complex (sexual feeling towards mother) and will be afraid that father may castrate him for this termed as "Castration anxiety".